Cobb’s angle is used to measure the degree of-
1. Kyphoscoliosis
2. Angular deformity of the knee
3. Extent of depression in calcaneal fracture
4. Extent of spondylolistheis

Correct answer: 1. Kyphoscoliosis

Explanation: (Refer: Mohindra’s Fundamentals of Orthopedics, 2nd edition, pg no. 244, 245)